prostacyclin agonist which is usually given oral.
1. Teleprost
2. Iloprost
3. Riociguat
4. Selexipag

Correct answer: 4. Selexipag

Explanation: * Selexipag is the only PGI2 drug which can be given oral route * Prostacyclin analogue like iloprost, treprostinil can be given i/v or s.c or inhaltional route.